Which of the following tumours present with proptosis?
1. Nephroblastoma
2. Neuroblastoma
3. Ewings sarcoma
4. All of the above

Correct answer: 4. All of the above

Explanation: PROPTOSIS It is defined as forward displacement of the eyeball beyond the orbital margins. Causes of bilateral proptosis include: Tumours: These include symmetrical lymphoma or lymphosarcoma, secondaries from neuroblastoma, nephroblastoma, Ewing's sarcoma and leukaemic infiltration. Ref:- A K KHURANA; pg num:-379,381